Which of the follow is a "somniferous toxin" ?
1. Dhatura
2. Opium
3. Belladonna
4. Cannabis

Correct answer: 2. Opium